Which of the following statement is true regarding Landry Guillian Barre Syndrome -
1. Facial nerve palsy occurs
2. Proximal muscle weakness
3. Distal muscle weakness
4. All of the above

Correct answer: 4. All of the above